A 40-year-old woman presented to the gynecologist with complaints of profuse vaginal discharge. There was no discharge from the cervix on the speculum examination. The diagnosis of bacterial vaginosis was made based upon all of the following findings on microscopy except :
1. Abundance of gram variable coccobacilli
2. Absence of lactobacilli
3. Abundance of polymorphs
4. Present of clue cells

Correct answer: 3. Abundance of polymorphs

Explanation: Leucorrhoea is seen when the discharge originates in the vagina itself as a transudation through vaginal walls.Local congestive states of the pelvic organs such as pregnancy,acquired retroversion,prolapsed congested ovaries,chronic PID, chronic constipation are reasonable causes of increased vaginal secretion. In Bacterial vaginosis : Presence of clue cells--the epithelial cells have a fuzzy border due to adherence of bacteria and Increased number of Gardnerella vaginalis and other organisms and reduced number of lactobacilli and leucocytes.Gram-negative stain and culture are additional investigations. SHAW'S TEXTBOOK OF GYNECOLOGY,Pg no:130,15th edition